The following primary tumours are common in the vulva except:
1. Adenocarcinoma
2. Basal cell carcinoma
3. Choriocarcinoma
4. Squamous cell carcinoma

Correct answer: 3. Choriocarcinoma